A surgeon excises a portion of liver to the left of the attachment of the falciform ligament. The segments that have been resected are:
1. Segment la and 4
2. Segment 1 and 4b
3. Segment 2 and 3
4. Segment 1 and 3

Correct answer: 3. Segment 2 and 3

Explanation: C i.e. 2 and 3- The portion of liver on the left side of falciform ligament is left (anatomical) lobe of liver. And in Couinaud's functional segmentation of liver, the segment number 2, 3, 4a and 4b form the left liver lobeQ.- Segmentation of Couinad's - French - system is based on hepatic vein (mainly) & portal veinQ . This devides liver into 8 segments. Each segment contains branch of portal vein, hepatic arteriole & bile duct.Right lobe of liver consists of segments 5, 6, 7, 8.The left hepatic duct drains segment 2, 3 & 4Q. And the right hepatic duct drains segments 5, 6, 7 and 8Q. And caudate lobe or segment I is drained by both right & left hepatic ductsQ.